Bregma is meeting point of
1. Coronal and sagittal suture
2. Coronal and lambdoid suture
3. Sagittal and lambdoid suture
4. None of the above

Correct answer: 1. Coronal and sagittal suture

Explanation: The bregma is the meeting point between the coronal and sagittal sutures. In the foetal skull, this is the site of a membranous gap, called the anterior fontanelle, which closes at eighteen months of age.